Double bubble sign in children is seen in all EXCEPT:
1. Ladds band
2. Annular pancreas
3. Pancreatic pseudocyst
4. Diaphragmatic hernia

Correct answer: 4. Diaphragmatic hernia

Explanation: * Obstruction of 2nd part of duodenum cause 'double bubble' sign on plain abdominal radiograph * It may be due to- Annular pancreas, Pancreatic pseudocyst, Ladds band & tumor in head of pancreas.